Left-Right movement of skull occurs at
1. C2 - C3
2. Atlanto - occipital joint
3. Atlanto - axial joint
4. C4 - C5

Correct answer: 3. Atlanto - axial joint

Explanation: Left-Right movement of skull occurs at Atlanto - axial joint.
Up - down movement of skull occurs at Atlanto - occipital joint.